The most reliable criteria in Gustafson's method of identification is:
1. Cementum apposition
2. Transparency of root
3. Attrition
4. Root resorption

Correct answer: 2. Transparency of root

Explanation: B i.e. Transparency of root - Stack's method (formula) is for age estimation from weight & height of erupting teeth in infant and childrenQ. - Translucency or transparency of root is the most reliable criteria in Gustafson method of age estimationQ